Most common source of Diphtheria
1. Case
2. Carrier
3. Both
4. None

Correct answer: 2. Carrier

Explanation: Ans. is 'b' i.e., Carrier Diphtheria is an acute infectious disease caused by toxigenic strains of corynebacterium diphtheriae. Source of infection cases or carriers; carriers are common sources of infection, their ratio is estimated to be 95 carriers for 5 clinical cases. Infective period - 14 - 28 days from the onset of disease. Age group - 1 to 5 years Sex - Both sexes Incubation period - 2 - 6 days